D2O is used to measure
1. ECE Volume
2. ICF volume
3. TBW volume
4. Plasma volume

Correct answer: 3. TBW volume

Explanation: The concentration of the marker in the plasma is measured and from this value, the total body water can be measured. The markers are D2O, tritium oxide, aminopyrine.(Ref: Textbook of medical physiology N Geetha 2nd edition page no.61)